All of the following are involved in sperm pathway, except -
1. Efferent tubule
2. Afferent tubule
3. Rete testes
4. Epididymis

Correct answer: 2. Afferent tubule

Explanation: Ans. is 'b' i.e., Afferent tubule o The correct sequence of sperm movement from within testis to urethra isSeminiferous tubule - Straight tubule (Tubulirecti) - Rete testes - Efferent tubule - Epididymis - Vas (ductus) deferens - Ejaculatory duct - Prostatic urethrao Testis consists of 200-300 lobules. Each lobules consists of 2-3 seminiferous tubules (where spermatozoa are formed). Seminiferous tubules join at the apex of lobules to form straight tubules, which anastomose with each other to form rete testis. Which emerge from upper pole and enter the epididymis. Each tubule becomes highly coiled to form a lobe of the head of epididymis. All tubules end in a single duct which is coiled on itself to form the body and tail of the epididymis. It is continuous w ith ductus deference.o Epididymis is a firm structure, attached behind the testis. Its upper end is called head. Head is made up of highly coiled efferent ductules coming for upper end of testis. The middle part is called the body and lov/er part is called tail. The body and tail are made up of a single duct, the duct of the epididymis which is highly coiled on itself. At the lower end of tail this duct becomes continuous with the ductus deferens.o Ductus deferens (Vas deferens) is a direct continuation of the canal of the epididymis. It is a thick-walled muscular tube with a narrow7 lumen except at the terminal dilated part called the ampulla. It enters the spermatic cord, passes through the inguinal canal. At the deep inguinal ring, it leaves the spermatic cord and hooks around the lateral side of inferior epigastric artery. In the region of ischeal spine, it crosses ureter and then bends medially to reach the base of bladder. The part lying behind the bladder is dilated to form ampulla, and there is no intervening peritoneum between bladder base and ductus deferens. At the base of prostate it is joined by the duct of seminal vesicle to form ejaculatory duct.